Pharmacodynamics includes
1. Drug Elimination
2. Drug excretion
3. Drug Absorption
4. Mechanism of action

Correct answer: 4. Mechanism of action

Explanation: Pharmacodynamics- the branch of pharmacology concerned with the effects of drugs and the mechanism of their action. Ref-KDT 7/e p1